Red flag sign in child development if not attained ?
1. Vocalization at 2 months
2. Walking at 12 months
3. Single word at 12 months
4. Standing alone at 16 month

Correct answer: 4. Standing alone at 16 month

Explanation: Ans. is 'd' i.e., Standing alone at l6 month Red flag sign of child developmentMilestoneAgeNo visual fixation or following by2 monthsNo vocalisation6 monthsNot siting without support9-10 monthsNot standing alone16 monthsNot walking alone18 monthsNot single word18 monthsLack of imaginative play3 years